Which of the following drug has got an effect on CNS:
1. Neostigmine
2. Pyridostigmine
3. Physostigmine
4. Edrophonium

Correct answer: 3. Physostigmine

Explanation: Ref: KD Tripathi pharmacology 7th edition (page.no: 107) Lipid-soluble agents like physostigmine and organophosphates have more marked muscarinic and CNS effects. Lipid-insoluble agents (neostigmine and other quaternary ammonium compounds) produce a more marked effect on the skeletal muscles (direct action on muscle endplate cholinoceptors as well), stimulate ganglia, but muscarinic effects are less prominent. They do not penetrate CNS and have no central effect